The origin of Klatskin tumors is from
1. Liver
2. Gall bladder
3. Confluence of cystic duct and hepatic duct
4. Confluence of right and left hepatic ducts

Correct answer: 4. Confluence of right and left hepatic ducts

Explanation: The tumours arising at the confluence of right and left hepatic ducts at the liver hilus are called Klatskin tumours. These tumours are notable for their slow growing behaviour, marked sclerosing characteristics, and infrequent occurrence of distal metastasis.